Sertoli cells in the seminiferous tubules have receptors for which of the following hormone?
1. Inhibin
2. Melatonin
3. Luteinizing hormone
4. Follicle stimulating hormone

Correct answer: 4. Follicle stimulating hormone

Explanation: Sertoli cells have receptors for FSH and testosterone. FSH binds to the receptors in sertoli cells and stimulate the production and secretion of inhibin. Inhibin along with testosterone and estradiol, act as a negative feedback regulator of pituitary secretion of FSH. FSH also stimulates sertoli cells to produce androgen binding protein. Sertoli cells are located within the convoluted seminiferous tubules. These cells extend the entire length of the basement membrane. Ref: Hormones By Anthony W. Norman, 2nd Edition Page 353 ; Comparative Reproductive Biology By Heide Schatten, Page 72.